Definition of extremely low birth weight: (Repeat)
1. Wt <2.5 kg
2. Wt <2 kg
3. Wt <1.5 kg
4. Wt <1 kg

Correct answer: 4. Wt <1 kg

Explanation: Ans: D (Wt < 1kg) Ref: Nelson is Textbook of Pediatries. 19sh Edition Explanation:Some Important Definitions in NeonatologyLow birth weight: Birth weight of less than 2.5 kg irrespective of gestational age.Very low birth weight: Birth weight of less than 1.5 kg irrespective of gestational age.Extremely low birth weight: Birth weight of less than 1.0 kg irrespective of gestational age. Neonatal: First 28 days of postnatal life.Preterm: Less than 37 completed weeks of gestations.Term: After 37 completed weeks of gestations. Post term: After 42 completed weeks of gestations. Past dates: After 40 completed weeks of gestations.Still birth: Delivering dead fetus after 28 weeks of gestation (Defn changes with country ).Abortion: Expulsion of products of conception before 28 weeks of gestation.Small for Gestational Age (SGA): Weight below the 10th percentile for the gestational age.Large for Gestational Age (LGA): Weight above the 90th percentile for the gestational age.Appropriate for Gestational Age (AGA): Weight between 10th and 90th percentile for the gestational age.